A 2 year old child is admitted to ICU due to complications which is thought to be secondary to measles infection. Which of the following is the LEAST common complication of measles?
1. Diarrhoea
2. Pneumonia
3. Otitis media
4. SSPE

Correct answer: 4. SSPE

Explanation: Most complications of measles involve the respiratory tract and include the effects of measles virus replication itself and secondary bacterial infections. Many children with measles develop diarrhea. Otitis media and bronchopneumonia are also common. Rare but serious complications of measles involve the central nervous system (CNS). Postmeasles encephalomyelitis occurs within 2 weeks of rash onset. Other rare CNS complications are measles inclusion body encephalitis (MIBE) and subacute sclerosing panencephalitis (SSPE). SSPE is a slowly progressive disease characterized by seizures and progressive deterioration of cognitive and motor functions, with death occurring 5-15 years after measles virus infection. SSPE most often develops in persons infected with measles virus at Ref: Moss W.J. (2012). Chapter 192. Measles (Rubeola). In D.L. Longo, A.S. Fauci, D.L. Kasper, S.L. Hauser, J.L. Jameson, J. Loscalzo (Eds), Harrison's Principles of Internal Medicine, 18e.